False about informed consent:
1. Alternate procedures/treatment to be concealed from the patients
2. Patient must be told about the risks
3. Patient must be explained about the whole procedure
4. Patient must be explained in the language he understands

Correct answer: 1. Alternate procedures/treatment to be concealed from the patients

Explanation: Ans. Alternate procedures/treatment to be concealed from the patients